'Fracture-ala signature' or signature fracture is:
1. Gutter fracture & Contre coup injury
2. Depressed fracture of skull
3. Ring fracture at foramen magnum
4. Sutural separation

Correct answer: 2. Depressed fracture of skull

Explanation: Signature fracture or Fracture-ala signature is a type of skull fracture. It's a fracture wherein the fractured bone is driven inwards and it correspond in terms of size, shape to the causative weapon. It is called signature fracture as it gives clue regarding the causative weapon. This is also known as depressed fracture. Ref: Textbook of Forensic Medicine and Toxicology, by Nagesh Kumar Rao ,Page 194; The essentials of forensic medicine and toxicology,By K.S Narayan reddy,27th Edition Page 214-217